Collagen affected in Osteogenesislmperfecta
1. Type I
2. Type II
3. Type III
4. Type IV

Correct answer: 1. Type I

Explanation: Ans, is 'a' i.e., Type I o Osteogenesis imperfecta also known as brittle bone disease, or "Labstein syndrome" is a congenital bone disorder.o People with OI are bom with defective connective tissue, or without the ability to make it, usually because of a deficiency of Type-1 collagen.o This deficiency arises from an amino acid substitution of glycine to bulkier amino acids in the collagen triple helix structure.